Early expanding stage is denoted by
1. Decreased birth rate and Decreased death rate
2. Increased birth rate and Increased death rate
3. Unchanged birth rate and Decreased death rate
4. Decreased birth rate and Increased death rate

Correct answer: 3. Unchanged birth rate and Decreased death rate